All are side effects of steroid EXCEPT
1. Skin atrophy
2. Telengectasia
3. Folliculitis
4. Photosensitivity

Correct answer: 4. Photosensitivity

Explanation: Mineralocorticoids cause cause edema, hypokalemia, sodium and water retention. Glucocorticoid cause Cushing's habitus, fragile skin, telangiectasis, hirsutism, hyperglycemia, muscular weakness, susceptible to infection, osteoporosis, HTN, poor wound healing, thin arms due to muscle wasting (REF.Essential of medical pharmacology K D TRIPATHI 6 Edition, Page No - 286)